Which of the following is least likely to be involved in a collateral anastomosis which bypasses an obstruction of the first part of the axillary artery?
1. Suprascapular artery
2. Subscapular Artery
3. Dorsalscapular Artery
4. Posterior humeral circumflex artery

Correct answer: 4. Posterior humeral circumflex artery

Explanation: The suprascapular, dorsal scapular, subscapular, and scapular circumflex arteries participate in a potential collateral anastomoses around the scapula. The suprascapular and dorsal scapular arteries arise, directly or indirectly, from the subclavian artery while the subscapular and scapular circumflex arteries are from the third part of the axillary artery, thus providing a bypass for obstructions of the first or second parts of the axillary artery.